Jack stone calculi is seen in which anatomic part ?
1. Prostate
2. Kidney
3. Ureter
4. Bladder

Correct answer: 4. Bladder

Explanation: Ans. is 'd' i.e., Bladder